AML with gum infiltration and hepatosplenomegaly is most probably:
1. ALL
2. M3
3. M2
4. M4

Correct answer: 4. M4

Explanation: . M4